CD 95 is a marker of -
1. Intrinsic pathway of apoptosis
2. Extrinsic pathway of apoptosis
3. Monocyte
4. Leucocyte

Correct answer: 2. Extrinsic pathway of apoptosis

Explanation: Ans. is 'b' i.e. Extrinsic pathway of apoptosiso CD 95 is a marker of extrinsic pathway of apoptosis.